Portal vein supplies
1. Spleen
2. Liver
3. Pancreas
4. Colon

Correct answer: 2. Liver

Explanation: The portal vein or hepatic portal vein is a blood vessel that carries blood from the gastrointestinal tract and spleen to the liver. This blood is rich in nutrients that have been extracted from food, and the liver processes these nutrients; it also filters toxins that may have been ingested with the food. Ref - BDC 6e vol2 pg282